Most common indication for operation in tuberculosis of intestine is:
1. Obstruction
2. Perforation
3. Mass abdomen
4. GI symptoms

Correct answer: 1. Obstruction

Explanation: Ans: a (Obstruction)Ref: Bailey & Love, 24th ed, p. 1173, 1174 & 23rd ed, p. 1046